Which of the following measures the vertical dimension when the mandible and muscles involved are in physiologic function of speech?
1. Free way space
2. Leeway space
3. Closest speaking space
4. Primate space

Correct answer: 3. Closest speaking space